Treatment of choice for nasopharyngeal carcinoma is
1. Surgery
2. Radiotherapy
3. Surgery & radiotherapy
4. Chemotherapy

Correct answer: 2. Radiotherapy

Explanation: Treatment of nasopharyngeal carcinomaIrradiation is the treatment of choice (external radiotherapy)Radical neck dissection is required for persistent nodes when the primary has been controlled and in post-radiation cervical metastasisSystemic chemotherapy is used as palliation for distant metastases or radiation failureFor advanced stages (stage III & IV), the cure rate can be doubled when chemotherapy is combined with radiotherapyRef: PL Dhingra, Diseases of Ear, Nose & Throat, 7th edition, pg no. 279 - 286